Earliest detectable congenital malformation by USG
1. Anencephaly
2. Spina bifida
3. Meningocoele
4. cystic hygroma

Correct answer: 1. Anencephaly